Senile cardiac amyloid associated protein is
1. Transthyretin
2. ANP
3. Beta 2 microglobulin
4. Gelsolin

Correct answer: 1. Transthyretin

Explanation: Transthyretin (TTR) is a normal serum protein that binds and transports thyroxine and retinol. Several distinct mutant forms of TTR (and its fragments) are deposited in a group of genetically determined disorders referred to as familial amyloid polyneuropathies. Normal TTR is also deposited in the heart of aged individuals (senile systemic amyloidosis)Reference: Robbins and Cotran Pathologic Basis of Disease; 9th edition; Chapter 6; Diseases of the Immune System